Population covered by a PHC in hilly region is -
1. 20,000
2. 30,000
3. 40,000
4. 25,000

Correct answer: 1. 20,000

Explanation: The Bhore Committee aimed at having a health center to serve a population of 10,000 to 20,000 with 6 medical officers,6 public nurses and other supporting staff.But in view of limited resources Bhore Committees recommendations could not be fully implemented even after a lapse of 60 years (refer pgno:904 park 23rd edition)